Mandibular nerve exits the cranial cavity by passing through
1. Formanen rotundum
2. Foramen lacerum
3. Stylomastoid foramen
4. Foramen ovale

Correct answer: 4. Foramen ovale

Explanation: Mandibular nerve begins in the middle cranial fossa through a large sensory root and a small motor root. The sensory root arises from the lateral part of the trigeminal ganglion and leaves the cranial cavity through the foramen ovale. Ref: BD Chaurasia's HUMAN ANATOMY, Volume 3, 4th edition.